Lumbar hemivertebra results due to the abnormal development of:
1. Dorsal sclerotome
2. Intermediate cell mass
3. Notocord
4. Ventral sclerotome

Correct answer: 4. Ventral sclerotome

Explanation: D i.e. Ventral Sclerotome